Nerve supplying Gemellus inferior
1. Nerve to Obturator internus
2. Superior gluteal nerve
3. Inferior gluteal nerve
4. Nerve to Quadratus femoris

Correct answer: 4. Nerve to Quadratus femoris

Explanation: Nerve to Obturator internus supplies obturator internus and Gemellus superior.
Nerve to Quadratus femoris supplies Quadratus femoris and Gemellus inferior